Impression plaster is:
1. Less compressive than alginate
2. More compressive than alginate
3. As compressive as alginate
4. More compressive than hydrocolloids

Correct answer: 1. Less compressive than alginate

Explanation: IMPRESSION PLASTER
Impression plaster is a β-calcium sulfate hemihydrate used at a water/powder ratio of approximately 0.5 to 0.6. Its fluidity makes it suitable for making impressions of soft tissues in the uncompressed state, a characteristic of mucostatic impression material. 
Key concept: 
Impression plaster is less compressive than Alginate.
Ref: Phillips 12 ed page no 177